Tiotropium is contra-indicated in:
1. Bronchial asthma.
2. Urinary retention.
3. Hypertension.
4. All of the above.

Correct answer: 2. Urinary retention.

Explanation: Antimuscarinic drugs are contraindicated in glaucoma and BHP(urinary retention)